Best vein for total parenteral nutrition is:
1. Subclavian vein
2. Femoral vein
3. Brachial vein
4. Saphenous vein

Correct answer: 1. Subclavian vein

Explanation: Best vein for total parenteral nutrition is: subclavian vein > internal jugular vein > femoral vein